Androphonia is treated by
1. Type 1 thyroplasty
2. Type 2 thyroplasty
3. Type 3 thyroplasty
4. Type 4 thyroplasty

Correct answer: 4. Type 4 thyroplasty